A 25 years old female develops serous otitis media of left ear with cough and occasional hemoptysis and . hematuria and epistaxis for one and half months her. Hemoglobin is 7 gm. B.P. > 170/100, ptoreinuria +++, RA positive (+ve) and ANCA positive (+ve), the likely cause is-
1. Wegener's granulo matosis
2. Rheumiatoid arthritis
3. Rapidly proliferative glomerulonephritis
4. Good pasteur's syndrome

Correct answer: 1. Wegener's granulo matosis

Explanation: Answer is A (Wegener's granulomatosis): The patient in question is presenting with the charachteristic triad of Wegener's granutomatosis namely, vasculitis of the upper respiratory tract (serious otitis media and epistaxis), vasculitis of the lower respiratory tract (hemoptysis) and vasculitis of the kidney (proteinuria) Presence of ANCA and Rheumatoid factor further support the diagnosis of Wegener's granulomatosis which is the single best answer of choice.